According to Scammon’s growth curve, which of the following tissues has a growth increase that can be used to help predict timing of the adolescent growth spurt?
1. Neural tissues
2. Lymphoid tissues
3. Reproductive tissues
4. General tissue

Correct answer: 3. Reproductive tissues

Explanation: The genital curve includes the growth of primary sex apparatus and all secondary sex traits. This curve remains relatively quiescent till about 10 years of age, after which it starts to upswing rapidly due to the rapid growth of genital organs in the pre-pubertal and pubertal periods.
Key Concept:
Reproductive tissues grow at the same time as the adolescent growth spurt, and the appearance of secondary sexual characteristics can be used to help predict the timing of growth.
Ref: Orthodontics: Diagnosis and Management of Malocclusion and Dentofacial Deformities, THIRD EDITION,O P. Kharbanda pdf no 642